pulmonary hypertension is caused by all except ?
1. hyperventilation
2. morbid obesity
3. fenfluramine
4. high altitude

Correct answer: 1. hyperventilation

Explanation: DEFINATIONS # Pulmonary hypertension (PH) is haemodynamic and pathophysiological condition defined as mean pulmonary artery pressure > 25 mmHg at rest by Right heart Catheterization(RHC). # Pulmonary arterial hypertension (PAH) is a clinical condition characterized by the presence of pre-capillary PH in absence of other causes of pre-capillary PH such as PH due to lung diseases, chronic thromboembolic PH, or other rare diseases Clinical Presentation * Non specific leading to delayed diagnosis Symptoms: * dyspnea (most common), exercise intolerance, fatigue, substernal chest pain, and palpitations. * Symptoms of right heart failure include exertional dizziness, syncope, chest pain, lower extremity swelling, increased abdominal girth (ascites), and hoarseness (impingement of recurrent laryngeal nerve by enlarging pulmonary artery). * Assess for exposure to anorectic drugs and symptoms of underlying diseases , family history of PH Types * Group 1 PAH (pulmonary arterial hypertension) Group 2 PH (left heart disease) Group 3 PH (lung disease) Group 4 PH (thromboembolic disease) * Group 5 PH (multifactorial) ref : harrisons 21st ed